Edrophonium test is diagnostic of
1. Myasthenia gravis
2. Lambert Eaton syndrome
3. Ammyotropic lateral sclerosis
4. All

Correct answer: 1. Myasthenia gravis

Explanation: Ans. a (Myasthenia gravis). (Ref. Harrison, Internal Medicine, 16th ed., 2519)Test for diagnosis of MGCommentsAcetyl Choline Esterase/Tensilon/EdrophoniumTest# Most commonly used rapid test.# Highly probable diagnosis if unequivocally positive.# False positive in ammyotropic lateral sclerosis and placebo reactorsAnti-Ach receptor ab assay# 85% positivity in generalized myasthenia gravis.# 50% positivity in ocular myasthenia gravis.# Definitive diagnosis if positive.Repetitive nerve stimulation test# Highly probable.Single fiber EMG# Confirmatory but non-specific